Ingram regimen is used in the treatment of
1. Vitiligo
2. Psoriasis
3. Lichen planus
4. Lichen nitidus

Correct answer: 2. Psoriasis

Explanation: *Psoriasis is a long-lasting autoimmune disease characterized by patches of abnormal skin.These skin patches are typically red, dry, itchy, and scaly. On people with darker skin the patches may be purple in color. Psoriasis varies in severity from small, localized patches to complete body coverage.Injury to the skin can trigger psoriatic skin changes at that spot, which is known as the Koebner phenomenon. Goeckerman therapy is a regimen for treatment of moderate to severe plaque psoriasis using a combination of crude coal tar and artificial ultraviolet radiation. It is a specialized form of light therapy. *First formulated in 1925 by American dermatologist William H. Goeckerman (1884-1954), Goeckerman therapy continues to be used due to its efficacy and safety profile.Individual institutions have modified the Goeckerman regimen and developed their own protocols. Standard therapy includes use of 2-4% crude coal tar in a petroleum base applied daily to the psoriatic plaques. The minimum period of time for tar application is 2-hours, although it has been recognized that greater periods of time produce better results. The patient is then exposed to broad-band ultraviolet B (UVB) radiation, although narrow-band UVB may also be used.Laboratory studies have shown that the combination of coal tar and UV light reduces epidermal DNA synthesis. 1953, John Ingram, an English dermatologist, added topical anthralin paste to his Goeckerman regimen. This is known as the Ingram method. Ref Harrison 20th edition pg 1290